A cardiologist asks for measurement of electromechanical systole (QS2) and left ventricular ejection time (LVET), and pre-ejection period (PEP). The cardiologist is informed by the technician that the carotid transducer is not functioning. Which of the following readings could not be obtained
1. QS2
2. QS2 and LVET
3. QS2 and PEP
4. LVET and PEP

Correct answer: 4. LVET and PEP

Explanation: Electromechanical systole (QS2)- Time interval between the beginning of Q wave and beginning of the second heart sound. It requires ECG and phonocardiogram.
Left ventricular ejection time (LVET)- Interval between the beginning of carotid pressure to the dicrotic notch. Requires carotid pulse tracing.
Pre-ejection systole (PEP)- Difference between QS2 and LVET.